Which one of the following is not a feature of type 2 respiratory failure?
1. p CO2 38 mm Hg and pO2 50 mm HG
2. p CO2 68 mm Hg and pO2 5O mm Hg
3. Papilloedema
4. Asterixis

Correct answer: 1. p CO2 38 mm Hg and pO2 50 mm HG

Explanation: Type 2 respiratory failure is characterised by arterial hypoxia with hypercapnia.Here,PaO2 is less than 60 mmHg(<8.0 kPa) and PaCO2 is greater than 50 mmHg(>6.6 kPa).It can present with the signs of CO2 retention like confusion,flapping tremors(asterixis),bounding pulse & Papilloedema. In Type 1 respiratory failure there is pao2<60 and paco2 normal or decreased. Reference:Davidson's Medicine-22nd edition,page no:664.